Most common endocrine disturbance associated with vitiligo
1. Addison's disease
2. Thyroid disease
3. Diabetes insipidus
4. Diabetes mellitus

Correct answer: 2. Thyroid disease

Explanation: vitiligo is associated with autoimmune systemic disorders like pernicious anemia,addisons disease,graves disease, hyper or hypothyroidism,thyroiditis, hyperparathyroidism,diabetes mellitus most common is thyroid disorders occuring in 0.6-38%. most common is hyperthyroidism IADVL textbook of dermatology pg 753